Larvae of Ascaris lumbricoidis most commonly causes-
1. Cardiac symptoms
2. Respiratory symptoms
3. Genitourinary symptoms
4. Cerebral symptoms

Correct answer: 2. Respiratory symptoms

Explanation: Ans. is 'b' i.e., Respiratory symptoms [Ref: Harrison 18th/ep. 1739, 1740\o Clinical manifestations of ascariasis can be divided into two groups :-Due to adult worm : Adult worm causes malnutrition, abdominal pain, anorexia, intestinal obstruction, appendicitis, obstructive jaundice, pancreatitis, intestinal perforation and allergic manifestations.Due to migrating larva : Loefflers syndrome (eosinophilic pneumonia).